Quincke's disease is popularly known as ?
1. Norweigian scabies
2. Angioneurotic oedema
3. Seborrohea olesa
4. Saddle nose

Correct answer: 2. Angioneurotic oedema

Explanation: B. i.e. Angioneurotic edema - Recurrent episodes of non pitting edema of face,larynx (Vt respiratory distress), intestine (Vt colic pain), skin & extremitiesQ provoked by emotional stress (neurotic), food, or inhalational agents, with a positive family history (autosomal dominant)Q, is diagnostic of hereditary angioneurotic edema. - Angioneurotic edema (swelling of face & lips) in presence of intense pruritis and evidence of vascular collapse (hypotension)Q, suggest a diagnosis of Anaphylaxis. Hereditary Angioneurotic edema is a deficiency/non functioning of C1 inhibitors, a condition characterized by episodic not pitting angioedema of the subcutaneous tissue or the mucosa of respiratory &/or alimentrary tractsQ elicted by ingestion of fresh fruits, shell fish, fish, milk products, chocolate, legumes including peanutsQ & drugs. Uncommonly it may occur secondary to inhalation or physical contact with pollens, animal dander and mold spores and emotional stress. The diagnossi is suggested not only by family history but also by lack of prurities & of urticarial lesions, the prominence of recurrent gastrointestinal attacks of colic and episodes of laryngeal edema (hoarseness of voice & stridor)Q.